In a randomized controlled trial, the essential purpose of randomization is-
1. To produce double blinding
2. To decrease the follow - up period
3. To eliminate the selection bias
4. To decrease the sample size

Correct answer: 3. To eliminate the selection bias

Explanation: Randomization ensures that the investigator has no control over the allocation of participants to either study or control groups, thus eliminating what is known as selection bias. In other words by random allocation, every individual gets an equal chance of being allocated into either group or any of the trial groups ( refer pgno:82 park 23rd edition)